Fatty acid present in breast milk which is important for growth and CNS development is:
1. Docosahexaenoic acid
2. Palmitic acid
3. Linoleic acid
4. Linolenic acid

Correct answer: 1. Docosahexaenoic acid

Explanation: Ans. A. Docosahexaenoic acidDocosahexaenoic acid (DHA) is a long-chain polyunsaturated fatty acid found in breast milk that plays a role in neurodevelopment. Breast milk DHA concentration is influenced by DHA in the mother's diet.